First step taken in case of Multiple injuries of face & neck -
1. Blood transfusion
2. IV fluids
3. Reconstruction
4. Maintainence of airways

Correct answer: 4. Maintainence of airways